'Hand and Foot' syndrome can be caused by:
1. Cisplatin
2. Vincristine
3. Capecitabine
4. Mitomycin-C

Correct answer: 3. Capecitabine

Explanation: CAPECITABINE is a PYRAMIDINE ANTAGONIST. It is an orally active prodrug of 5-FU.A combined regimen of capecitabine and oxaliplatin is frequently used in metastatic colorectal cancer. HAND-FOOT syndrome and diarrhoea are the prominent adverse effects,but bone marrow depression and mucositis are less marked. ESSENTIALS OF MEDICAL PHARMACOLOGY K.D.TRIPATHI SEVENTH EDITION PAGE NO:864